Expansible pulsating secondary metastasis is a feature of
1. Basal cell carcinoma
2. Renal cell carcinoma
3. Osteogenic sarcoma
4. Carcinoma prostate

Correct answer: 2. Renal cell carcinoma

Explanation: B i.e. Renal Cell carcinoma